All of the following are diagnostic features of illeocecal tuberculosis on barium follow through, except:
1. Apple-core sign
2. Pulled up contracted angle
3. Widening of ileocecal angle
4. Strictures involving the terminal ileum

Correct answer: 1. Apple-core sign

Explanation: Apple core sign is a feature of carcinoma of colon, not ileocecal tuberculosis. Pulled up contracted angle, widening of ileocecal angle and strictures involving the terminal ileum are all signs of ileocecal tuberculosis. Ref: Clinical Medicine a Practical Manual for Students and Practice By Agarwal, Page 244; Journal of Indian Academy of Clinical Medicine, Volume 2 No 3, July-September, 2001, Page 171